Erythrasma is caused by:
1. Cornybacterium
2. Staph
3. Streptococci
4. Viruses

Correct answer: 1. Cornybacterium

Explanation: Ans. a (Comybacterium)(Ref. Harrison, Principle of Medicine, 18th/918, 1181)ERYTHRASMA# It is caused by Cornybacterium minutissimum.# It is a chronic superficial bacterial infection of skin involving the body folds and toe, webs, sometimes becoming generalized and characterized by presence of sharply demarcated, dry, brown slightly scaly and slowly spreading patches.# It produces 'Coral-red' color on wood's lamp examination.